A Patient with depressive symptoms for 6 months and associated with auditory hallucinations for 2 weeks. What is the probable diagnosis of the condition?
1. Psychotic depression
2. Schizoaffective disorder
3. Mania depressive illness
4. Schizophrenia

Correct answer: 1. Psychotic depression

Explanation: Ans- A. Psychotic depression Psychotic depression- Depression along with psychotic symptoms such as hallucinations, delusions, etc.Schizoaffective disorder-Symptoms of schizophrenia and mood disturbances occur together.Mania depressive illness - Mania depression along with psychotic symptoms.Schizophrenia includes all the symptoms of schizophrenia